An antidepressant drug which is known to have both high sedative and anticholinergic activity is:
1. Phenelzine
2. Amitriptyline
3. Fluoxetine
4. Trazodone

Correct answer: 2. Amitriptyline

Explanation: (Ref: KDT 6/e p443, 444) Tricyclic antidepressants (TCA) possess anticholinergic and sedative properties. Amitriptyline and tripitramine possess highest sedative and antimuscarinic actions.